Henrys law states that?
1. At a constant temperature gas dissolves in solution in proportion to its partial pressure
2. At a constant Pressure gas dissolves in solution in proportion to its temperature
3. At a constant temperature gas dissolves in solution in proportion to its fat solubility
4. At a constant pressure gas dissolves in solution in proportion to its fat solubility

Correct answer: 1. At a constant temperature gas dissolves in solution in proportion to its partial pressure

Explanation: Ans. is 'a' i.e., At a constant temperature gas dissolves in so lution in proportion to its partial pressure